Chian initiation in protein synthesis is by
1. AUG
2. GLA
3. UGA
4. UAG

Correct answer: 1. AUG

Explanation: INITIATOR CODON : AUG is the initiator codon. It also acts as the codon for methionine. In a few proteins, GUG acts as initiator codon. REF :DM VASUDEVAN TEXTBOOK ; 8th EDITION ;Page no :586.